Anticodon is present in
1. mRNA
2. tRNA
3. rRNA
4. hn RNA

Correct answer: 2. tRNA

Explanation: At the opposite side of the acceptor, arm is the anti armIt recognizes the triplet nucleotide codon present in mRNA The specificity of tRNA resides in the anticodon site, which has base sequence complementary to that of mRNA codonRef: DM Vasudevan, 7th edition, page no: 597